Which of these changes in fetal circulation happen immediately at birth?
1. Obliteration of ductus venosus
2. Formation of ligamentum teres
3. Functional closure of ductus arteriosus
4. Obliteration of distal hypogastric arteries

Correct answer: 3. Functional closure of ductus arteriosus

Explanation: No anatomical closure or obliteration of either ductus venosus, or umbilical vein or foramen ovale occurs immediately at birth. It is only functional closure of these, that results from expansion of lungs at birth and lowering of resistance of pulmonary vasculature that results in change of blood flow pattern through heart from parallel to series like that in adults. Shunt/ vessel Functional closure Anatomical closure Remnant called as Ductus venosus 10-96 hrs after birth 2-3 weeks after birth Ligamentum venosum Ductus arteriosus At birth Several weeks after birth Ligamentum arteriosum Foramen ovale At birth 1 year after birth Fossa ovalis Umbilical vein Ligamentum teres Distal hypogastric arteries Umbilical ligaments